In patients of acquired immunodeficiency syndrome, the commonest cause of space occupying lesion in brain is -
1. Non Hodgkin's lymphoma
2. Cytomnegalovirus infection
3. Cryptoccosis
4. Toxoplasmosis

Correct answer: 4. Toxoplasmosis